Von Willebrand factor is produced by
1. Liver
2. Platelets
3. Lungs
4. Spleen

Correct answer: 2. Platelets

Explanation: Von Willebrand factor is produced by platelets and endothelial cells Ref: Ganong 25th ed/page 565